Which of the following is most uroselective anticholinergic drug?
1. Darifenacin
2. Tolbutamide
3. Duloxetine
4. Tamsulosin

Correct answer: 1. Darifenacin

Explanation: Muscarinic anatagonists acting on bladder : SOFT BLADDER S - solifenacin O - Oxybutynin F - Flavoxate T - Tolterodine , Trospium chloride Bladder- Darifenacin Side effects - Urinary Retention Tolbutamide is sulfonylureas , used as a hypoglycemic agent,stimulates the secretion of insulin by the pancreas Duloxetine is used AS SNRI in depression,neuropathic pain ,fibromyalgia etc Tamsulosin is uroselective alpha blocker, used in BPH